Adipocere formation after death usually requires?
1. Minutes to hours
2. Hours to days
3. Days to week
4. Weeks to months

Correct answer: 4. Weeks to months

Explanation: Ans. is 'd' i.e., Weeks to months o Normally adipocere formation requires 3 weeks to upto 3 to 6 months. However shortest recorded period in India is 3 days 22 hours. In India, it has been observed to begin within 4-5 days. Adipocere may persist for years or decades. Adipocere does not occur in fetus less than 7 months.